All of the following factors increases appetite, EXCEPT:
1. Neuropeptide Y
2. Melanin concentrating hormone
3. Melanocyte stimulating hormone
4. Agouti related peptide

Correct answer: 3. Melanocyte stimulating hormone

Explanation: Melanocyte stimulating hormone decreases the appetite. The factors that regulate appetite through effects on central neural circuits: Factors that increases the appetite: Neuropeptide Y Melanin-concentrating hormone Agouti-related peptide Orexin Endocannabinoid Factors that decreases the appetite: Alpha-melanocyte-stimulating hormone Cocaine- and amphetamine-related transcript Glucagon-related peptide-1 Cholecystokinin Ref: Flier J.S., Maratos-Flier E. (2012). Chapter 77. Biology of Obesity. In D.L. Longo, A.S. Fauci, D.L. Kasper, S.L. Hauser, J.L. Jameson, J. Loscalzo (Eds), Harrison's Principles of Internal Medicine, 18e.